The primary palate is formed from the
1. Medial nasal prominences
2. Lateral nasal prominences
3. Maxillary prominences
4. Mandibular prominences

Correct answer: 1. Medial nasal prominences

Explanation: The primary palate develops from the intermaxillary segment that is formed by the fusion of two medial nasal prominences. The two medial nasal prominences fuse to form the intermaxillary segment, which has the following components: Labial component that forms the philtrum of the upper lip Upper jaw component that forms the medial part of the maxillary bone with the four upper incisor teeth Palatal component that forms the triangular area in the front called as the primary palate. Ref: Inderbir Singh Human Embryology 11e pg 160.